Pirenzepine is used in:-
1. Peptic ulcer disease
2. Bronchial asthma
3. Rheumatoid arthritis
4. Motion sickness

Correct answer: 1. Peptic ulcer disease

Explanation: Pirenzipine is selective M1 receptor antagonist .so, it is used for peptic ulcer disease. * For Bronchial asthma M3 blocker such as Ipratropium is used. * For motion sickness Hyoscine is used which is M1 blocker